Commonly used shunt in hydrocephalus management:
1. Ventriculoatrial
2. Ventriculoperitoneal
3. Ventriculopericardial
4. Ventriculopleural

Correct answer: 2. Ventriculoperitoneal

Explanation: b. Ventriculoperitoneal(Ref: Nelson's 20/e p 2814)Therapy for hydrocephalus:Medical management, including use of acetazolamide and furosemide, can provide temporary relief.Most cases of hydrocephalus require extracranial shunts, particularly a ventriculoperitoneal shunt.The major complications of shunting are occlusion (characterized by headache, papilledema, emesis, mental status changes) and bacterial infection (fever, headache, meningismus), usually due to Staph epidermidis.Endoscopic third ventriculostomy (ETV) has evolved as a viable approach and criteria have been developed for its use, but the procedure might need to be repeated to be effective.